Chalcosis is seen with-
1. Pb
2. Cu
3. Fe
4. Hg

Correct answer: 2. Cu

Explanation: *Chalcosis refers to the specific changes produced by the alloy of copper in the eye. Ref: Khurana 7th/e p.452